Wieger's ligament is seen at:
1. Suspension of ciliary body
2. Junction of cornea and sclera
3. Posterior chamber
4. Attachment of vitreous to posterior surface of lens

Correct answer: 4. Attachment of vitreous to posterior surface of lens

Explanation: Vitreous base is firmly attached to the back of crystalline lens by hyaloidocapsular ligament of Wiege The part of the vitreous about 4 mm across the ora serrata is called as vitreous base where the attachement is strongest The other firm attachments are around the margins of the optic disc, foveal region ..